Which of the following is the drug of choice for absence seizure-
1. Phenytoin
2. Valproate
3. Carbamazepine
4. Phenobarbitone

Correct answer: 2. Valproate

Explanation: Ans. is 'b' i.e., Valproate o The first line druss for absence seizures includes Valproic acid and Ethosuxamide.Selection of antiepileptic DrugsGeneralized-onsetTonic-clonicFocalTypicalAbsenceAtypical Absence, Myoclonic AtonicFirst lineValproic acidLamotrigineTopiramateLamotrigineCarbamazepineOxcarbazepinePhenytoinLevetiracetamValproic acid EthosuximideValproic acidLamotrigineTopiramateAlternativesZonisamidePhenytoinCarbamazepineOxcarbazepinePhenobarbitalPrimdoneFelbamateTopiramateZonisamideValproic acidTiagabineGabapentinLacosamidePhenobarbitalPrimidoneFelbamateLamotrigineClonazepamClonazepamFelbamate